Carcinoid tumors of lung arises from
1. Type-II pneumocytes
2. Kulchitsky (K) cells
3. Mucus (goblet) cells
4. Clara cells

Correct answer: 2. Kulchitsky (K) cells

Explanation: . Kulchitsky (K) cells